Mosquitoes whose larvae lie horizontal on water and thus rest parallel to surface of water
1. Anopheles
2. Aedes
3. Culex
4. Mansonides

Correct answer: 1. Anopheles